The drug that is not banned for players by the International Olympic Committee (IOC) is:
1. Salbutamol
2. Sodium chromoglycate
3. Erythropoietin
4. Spironolactone

Correct answer: 2. Sodium chromoglycate

Explanation: Ans. b. Sodium chromoglycate (Ref: style="font-size: 1.04761904761905em; font-family: Times New Roman, Times, serif">)Olympic Movement Anti-doping Code: Appendix AProhibited classes of substance and prohibited methodsA. Stimulants* Amineptine* Amiphenazole* Amphetamines* Bromantan* Caffeine* Carphedon* Cocaine* Ephedrine* Fencamfamin* Formoterol* Mesocarb* Pentetrazol* Pipradrol* SalbutamolQ* Salmeterol* Terbutaline B. Narcotics* Buprenorphine* Dextromoramide* Diamorphine (Heroin)* Methadone* Morphine* Pentazocine* Pethidine C. Anabolic agentsAnabolic steroids* Androstenediol* Androstenedione* Costebol* Dehydroepiandrosterone* Dihydrotestosterone* Fluoxymesterone* Metandienone* Metenolone* Nandrolone* 19-norandrostenediol* 19-norandrostenedione* Oxandrolone* Stanozolol* Testosterone Beta-agonists* Bambuterol* Clenbuterol* Fenoterol* Formoterol* Reproterol* SalbutamolQ* Salmeterol* Terbutaline D. Diuretics* Acetazolamide* Bumetanide* Chlorthaliodone* Ethacrynicacid* Furosemide* Hydrochlorthiazide* Mannitol* Mersalyl* SpironolactoneQ* Tnmaterene E. Peptide hormones, mimetics and analogues* Chorionic gonadotropin (prohibited in males only)* Pituitary and synthetic gonadotropins (LH) (prohibited in males only)* Corticotropins (ACTH)* ErythropoietinQ* Growth hormone* Insulin* Insulin-like growth factor* (IGF-1)